Which of the following is the principal buffer in interstitial fluid?
1. Hemoglobin
2. Other proteins
3. H2CO3
4. H2PO4

Correct answer: 3. H2CO3

Explanation: Principal buffers in the body: